Type II hypersensitivity is mediated by -
1. Complimented mediated
2. Antibody mediated
3. Immune complex mediated
4. Cell mediated

Correct answer: 2. Antibody mediated

Explanation: Antibody mediated 


Type I reactions (immediate hypersensitivity) → Involve immunoglobulin ‘E’(Ig E) mediated release of Histamin and other mediators from mast cells and basophils.
Type II reactions (Antibody mediated) → Involve immunoglobulin Gor Immunoglobulin Mbound to cell surfac antigen, with subsequent complement fixation.
Type III reactions (Immune complex mediated) → involve circulating antigen-antibody complexes that deposit ii postcapillary venules, with subsequent complement fixation.
Type IV reactions (delayed hvpersensititv. cell mediated) → Mediated by Tcells.